All of the following statements are true regarding poliovirus, except:
1. It is transmitted by feco-oral route
2. Asymptomatic infections are common in children
3. There is a single serotype causing infection
4. Live attenuated vaccine produces herd immunity

Correct answer: 3. There is a single serotype causing infection

Explanation: Ans. is 'c' i.e., There is a single serotype causing infection There are 3 types of poliovirus which are associated with infection.